In which of the following a 'Coeur en Sabot' shape of the heart is seen:
1. Tricuspid atresia
2. Ventricular septal defect
3. Transposition of great arteries
4. Tetralogy of Fallot

Correct answer: 4. Tetralogy of Fallot

Explanation: Coeur en Sabot' or boot shaped heart is seen in Tetralogy of Fallot. The cardiac silhouette resembles that of a 'boot' or wooden shoe in 'Coeur en Sabot'. Ref: O P Ghai Essential Pediatrics, 6th Edition, Page 406